A 14 year old female patient complains of decayed teeth. Intra-oral examination reveals restoration of occlusal caries with composite restoration. Which of the following lasers is used for curing of this restorative material?
1. Argon
2. CO2
3. Nd:YAG
4. Excimers

Correct answer: 1. Argon